A child with obsessive compulsive disorder (OCD) undergoes imaging of brain. Which of the following structures is likely to show atrophy?
1. Putamen
2. Cerebellum
3. Caudate nucleus
4. Globus pallidus

Correct answer: 3. Caudate nucleus

Explanation: Solutions: - Neuroanatomical Structures Involved in OCD Orbitofrontal Cortex Caudate (which is a part of Basal Ganglia) Thalamus Extra edge: Other important Brain areas and associated psychiatric disorders : Psychiatric Disorders Brain Areas involved 1. Anxiety disorders Locus ceruleus Raphe nucleus Caudate nucleus Temporal cortex Frontal cortex 2. Depression Damage to the left frontal lobe 3. Alzheimer's disease Hippocampus